Middle lobe of lung contains which segments
1. Superior & inferior
2. Anterior & posterior
3. Medial & lateral
4. Apical & basal

Correct answer: 3. Medial & lateral

Explanation: Middle lobe contain lateral and medial segments. RIGHT LUNG UPPER LOBE MIDDLE LOBE LOWER LOBE Apical Posterior Anterior Lateral Medial Superior Anterior basal Posterior basal Medial basal Lateral basal Posterior basal LEFT LUNG UPPER LOBE LOWER LOBE Apical Posterior Anterior Superior lingular Inferior lingular Superior Medial basal Anterior basal Lateral basal Posterior basal REF:B D Chaurasia's human anatomy,Vol.1,Sixth edition Pg.234